Weil's zone of pulp is
1. Cell degenerated zone
2. Cell rich zone
3. Cell regenerated zone
4. Cell free zone

Correct answer: 4. Cell free zone